What  is  the  glomerular  filtration  rate (GFR)?
1. 25 mL/min
2. 50 mL/min
3. 100 mL/min
4. 125 mL/min

Correct answer: 4. 125 mL/min